Most common CNS manifestation of Whipple's disease is :
1. Cerebellar ataxia
2. Supranuclear ophthalmoplegia
3. Seizure
4. Dementia

Correct answer: 4. Dementia

Explanation: Answer is D (Dementia) CNS manifestations in Whipples disease include dementia (presenting as confusion in memory loss) along with focal features such as Seizures. Non specific symptoms like Confusion and Memory loss (Dementia) in all likelihood, should be more common a presentation than seizures. Whipple's disease is a rare multisystemic illness caused by infection with the bacillus 'Tropheryma Whippelii' Q Essential al Diagnosis include : a. Malabsorption Q b. Multisystemic involvement along with Fever, Lymphadenopathy and AhralgiasQ c. Duodenal Biopsy with PAS positive macrophages Q showing characteristic bacillus (with large cytoplasmic granules)(2 CNS invovement is seen in about 10% of patients. Manifestations include - Dementia Q (confusion and memory loss) - Seizures, Coma, MyoclonusQ Cranial N. findings include Nystagmus and Ophthalmoplegia Q Non specific symptoms like Confusion and Memory loss (Dementia) in all likelihood, should be more common a presentation than seizures. Ophthalmopegia is due to cranial nerve involvement and not supra-nuclear in type.